Chymotrypsin cleaves carbonyl terminal of
1. Phenylalanine
2. Tryptophan
3. Tyrosine
4. All of these

Correct answer: 4. All of these